A 33 year old male developed panic attack before going for a public performance. Which of the following is not a clinical manifestation?
1. Shortness of breath
2. Tachycardia
3. Tremors
4. Warm hands

Correct answer: 4. Warm hands

Explanation: Ans. D. Warm handsAnxiety neurosisIt is a chronic disease punctuated by recurrent attacks of acute anxiety or panic.These acute attacks can be described as the hallmark of the disease.The breathing comes in rapid gasps, heart races, the pupils may be dilated and the patient may sweat or tremble during an attackA feature of the anxiety attack hyperventilation is a special feature if not invariable.By reducing the PCO2, Hyperventilation will tend to cause giddiness, paresthesias of the tongue, fingers and lips, and at times, frank tetany. The peripheries will be cold on touch.